Strain used for BCG vaccine-
1. Jeryl lynn
2. Danish 1331
3. 17 D
4. Mortaten

Correct answer: 2. Danish 1331

Explanation: Ans. is 'b' i.e., Danish 1331 Vaccine Strains* Rubella RA 27/3* IPV(Salk)* OPV (Sabin)}P1, P2, P3 strains (mono or trivalent)* Measles Edomonston Zagreb strain (most common)Schwarts strainMortaten strain* Mumps Jeryll Lynn strain* Chicken pox OKA strain* BCG Danish 1331* JE Nakayam strain (MC), Beizing P3 strain, SA 14-14-2* Yellow fever 17 D* Malaria SPf.66, Pf 25* HIV mvA (modified vaccinia ankara) rAAV (recombinant adeno associated viral) AIDSVAX Subunit vaccine strain